In hypertrophy, cementum formed has:
1. More strength.
2. Less strength.
3. No effect on strength.
4. Number of cells increases.

Correct answer: 1. More strength.